Emissary sphenoid foramen lies between?
1. Foramen spinosum and foramen ovale
2. Foramen spinosum and foramen lacerum
3. Foramen ovale and scaphoid fossa
4. Foramen ovale and foramen lacerum

Correct answer: 3. Foramen ovale and scaphoid fossa

Explanation: Sometimes there is the emissary sphenoidal foramen or foramen of Vesalius. It is situated between the foramen ovale and the scaphoid fossa. Internally, it opens between the foramen ovale and the foramen rotundum. Ref: BD Chaurasia's HUMAN ANATOMY, Volume 3, 4th edition.